All of the following is used for gradation of coma in Glasgow coma scale except-
1. Eye opening
2. Motor response
3. Verbal response
4. Bladder function

Correct answer: 4. Bladder function